What is the cause for luteal phase defect?
1. Progesterone is inadequately secreted
2. Excess estrogen is secreted
3. Excess progesterone is secreted
4. Both estrogen and progesterone are in excess

Correct answer: 1. Progesterone is inadequately secreted

Explanation: Luteal phase defect- In this condition, there is inadequate growth and function of the corpus luteum. There is inadequate progesterone secretion. The lifespan of corpus luteum is shortened less than 10days.As a result, there is inadequate secretory changes in the endometrium which hinder implantation.LPD is due to defective folliculogenesis which again may be de to varied reasons. Reference- DC Dutta's textbook of gynaecology -7th edition- page no 188